Dose of lignocaine for spinal anesthesia is?
1. 0.50%
2. 2.50%
3. 4%
4. 5%

Correct answer: 4. 5%

Explanation: 5% REF: Morgan's 4th e p. 270, KDT 6th edition page 357 Concentration of lignocaine can be remembered as "INETS" IV regional anesthesia 0.5% Nerve block 1% Epidural / jelly 2% Topical 4% Spinal 5%